A 40 year old male patient came for routine checkup. Intra-oral examination reveal multiple teeth restored with silver amalgam restoration. Linear coefficient of thermal expansion of this restoration is?
1. 5 times greater than tooth structure
2. 2 times greater than tooth structure
3. 3 times greater than tooth structure
4. 2.5 times greater than tooth structure

Correct answer: 4. 2.5 times greater than tooth structure

Explanation: Amalgam has a linear coefficient of thermal expansion that is 2.5 times greater than tooth structure, and it does not bond to tooth structure (unless an amalgam bonding agent is used). 
Sturdevant’s Art and Science of Operative Dentistry, Mosby, 4th Edition, Page No: 155